A 55-year-old man presents with recurrent epigastric pain. Upper GI endoscopy and gastric biopsy reveal a neoplastic, lymphocytic infiltrate invading glandular tissue. Giemsa staining is positive for Helicobacter pylori. Which of the following is the most likely diagnosis?
1. Burkitt lymphoma
2. Marginal zone lymphoma
3. Follicular lymphoma
4. Mantle cell lymphoma

Correct answer: 2. Marginal zone lymphoma

Explanation: Diagnosis: Marginal zone lymphoma, MALT lymphoma Marginal Zone Lymphoma is an indolent tumor develop due to chronic B cell stimulation either by H.pylori or Auto immune disorders Translocation (11:18) involved